Hypercalciuria can be treated with?
1. Torsemide
2. Acetazolamide
3. Frusemide
4. Indapamide

Correct answer: 4. Indapamide

Explanation: Hypercalciuria- most common identifiable cause of calcium kidney stone disease. Thiazides, such as trichlormethiazide or indapamide- reduce urinary calcium excretion, but they do not correct the primary defect